False statement about hepatitis G virus is
1. Also called GB virus
2. Blood borne RNA virus
3. Mostly infected with C virus
4. Responds to lamivudine

Correct answer: 4. Responds to lamivudine

Explanation: Hepatitis G: A virus isolated from the blood of some patients with posttransfusion hepatitis that is hypothesized to be a cause of hepatitis by some investigators, but the virus has not yet been confirmed as a cause of acute or chronic hepatitis.treatment by interferons. Ref Harrison20th edition pg 997